Immediate stiffness postmortem occurs in -
1. Cadaveric rigidity
2. Cadaveric spasm
3. Rigor mortis
4. Algor mortis

Correct answer: 2. Cadaveric spasm

Explanation: Immediate stiffness after death occurs in cadaveric spasm.